All are true regarding Congenital Hypertrophic pyloric stenosis Except
1. Alkalosis
2. Length of pyloric canal <14 mm
3. Non bilious vomiting
4. Visible peristalsis

Correct answer: 2. Length of pyloric canal <14 mm

Explanation: Imfantile Hypertrophic Pyloric stenosis Diagnosis Palpation of the pyloric tumor or olive in the epigastrium or right upper quadrant by a skilled examiner is pathognomic for the diagnosis of HPS If the olive is palpated, no additional diagnostic testing is necessary When the olive cannot be palpated, the diagnosis of HPS can be made with an ultrasound exam or fluoroscopic UGI series Absence of radiation exposure and cost make the ultrasound usually preferred study Diagnostic Sonographic measurements Pyloric wall thickness of at least 4mm Channel length of atleast 17mm Transverse diameter >13mm Barium meal String sign: Indicating a narrowed elongated pyloric canal that doesnot relax is seen Shoulder sign: Caused by the hypertrophied muscle indenting the antrum Double - track sign : Caused by reddened mucosa Ref: Sabiston 20th edition Pgno : 1869